Radiological investigation in females of reproductive age should be restricted to:
1. First 10 days of menstrual cycle
2. Last 10 days of menstrual cycle
3. 10-20th day of menstrual cycle
4. Period of menstruation

Correct answer: 1. First 10 days of menstrual cycle

Explanation: Ans. First 10 days of menstrual cycle